Not true regarding suprachoroidal hemorrhage:
1. Shallowing of anterior chamber
2. Expulsion of intraocular contents
3. Bleeding from short posterior ciliary artery into suprachoroidal space
4. Self resolving

Correct answer: 4. Self resolving

Explanation: Suprachoroidal hemorrhage needs immediate management. Suprachoroidal Hemorrhage Rare dreaded complication of intraocular surgery. Bleeding from long or short posterior ciliary artery into suprachoroidal space. Risk Factors: Uncontrolled hypertension, advancing age, systemic cardiovascular disease, glaucoma, vitreous loss, increased axial length. Signs Shallowing of AC. Vitreous extrusion. Posterior segments contents may extrude through incision. Tense eyeball. Management Immediate termination of surgery AC is filled with viscoelastic IV mannitol Close the incision Systemic steroids Drainage of suprachoroidal bleed